Shortest acting benzodiazepine is -
1. Flurazepam
2. Alprazolam
3. Triazolam
4. Diazepam

Correct answer: 3. Triazolam

Explanation: Ans. is 'c' i.e., TriazolamLong actingT 1/2 Clinical UsesFlurazepam50-100 (Longest)Chronic Insomnia, short - term insomnia with anxiety; Frequent nocturnal awakening; Night before operation.Diazepam30-60 Nitrazepam30Short acting Alprazolam12Individuals who react unfavourably to unfamiliar surroundings or unusual timings of sleep. Sleep onset difficulties.Temazolam8-12 Triazolam2-3 (shortest)o This question is a direct repeat from NEET 2012-13.